Most common cause of intrauterine infection:
1. Rubella
2. Toxoplasma
3. Hepatitis
4. Cytomegalovirus

Correct answer: 4. Cytomegalovirus

Explanation: Ans. is d, i.e. CytomegalovirusRef. Williams Obs. 23/e, p 1216, 1217; Harrison 17/e, p 48Most common cause of intrauterine infection is cytomegalovirus.